Who surveillance is done for all except
1. Polio
2. Viral encephalitis
3. Malaria
4. Relapsing fever

Correct answer: 2. Viral encephalitis

Explanation: Ref:Park's Textbook of Community Medicine 25th Ed